Chronic recurrent multifocal osteomyelitis is seen in:
1. Werner's syndrome
2. Wartenberg's syndrome
3. SAPHO syndrome
4. All of the above

Correct answer: 3. SAPHO syndrome

Explanation: Chronic recurrent multifocal osteomyelitis Werner syndrome Wartenberg's syndrome SAPHO syndrome Progeria Auto-immune disease Hereditary condition Mononeuropathy Associated - HLA B27 Not associated with osteomyelitis Synovitis acne pustulosis hyperostosis osteitis Premature aging increased risk of cancer entrapment of the superficial branch of the radial nerve Rx - DMARDS + steroids + NSAIDS.